Which ofthe following antiretroviral drugs is a non- nucleoside reverse transcriptase inhibitor -
1. Zidovudine
2. Efavirenz
3. Saquinavir
4. Stavudine

Correct answer: 2. Efavirenz

Explanation: Anti-Retroviral drugs Nucleoside reverse transcriptase inhibitors (NRTis) : Zidovudine (AZT), Didanosine, Zalcitabine*,Stavudine, Lamivudine, Abacavir Nonnucleoside reverse transcriptase inhibitors(NNRTis) : Nevirapine, Efavirenz, Delavirdine* Protease inhibitors : Ritonavir, Indinavir, Nelfinavir, Saquinavir, Amprenavir*, Lopinavir Ref Harrison 20th edition pg 878